Distribution of functional renal tissue is seen by
1. DMSA
2. DTPA
3. MAG3 - Tc 99
4. 1123 iodocholesterol

Correct answer: 1. DMSA

Explanation: A. i.e. DMSA